Monoprotic acid is
1. Formic acid
2. Carbonic acid
3. Sulfuric acid
4. Citric acid

Correct answer: 1. Formic acid

Explanation: Formic acid can donate one H+, it is monoprotic.The acid equilibrium problems discussed so far have focused on a family of compounds known as monoprotic acids. Each of these acids has a single H+ ion, or proton, it can donate when it acts as a Brnsted acid. Hydrochloric acid (HCl), acetic acid (CH3CO2H or HOAc), nitric acid (HNO3), and benzoic acid (C6H5CO2H) are all monoprotic acids.Several important acids can be classified as polyprotic acids, which can lose more than one H+ ion when they act as Brnsted acids. Diprotic acids, such as sulfuric acid (H2SO4), carbonic acid (H2CO3), hydrogen sulfide (H2S), chromic acid (H2CrO4), and oxalic acid (H2C2O4) have two acidic hydrogen atomsTriprotic acids, such as phosphoric acid (H3PO4) and citric acid (C6H8O7), have three.